Contrast used in barium enema is –
1. Barium oxide
2. Barium sulphide
3. Barium sulphate
4. Lead sulphate

Correct answer: 3. Barium sulphate

Explanation: Barium sulfate is the traditional gastrointestinal contrast medium of choice. It is cheap and readily available, and its high density provides excellent contrast and definition. It is not absorbed by the gut and can, therefore, be used anywhere in the bowel.